Aspergillus hyphae branch at what angle -
1. 45deg
2. 60-90deg
3. 90-120deg
4. None

Correct answer: 1. 45deg

Explanation: Ans. is 'a' i.e., 45deg